True about Bowditch's effect of heart
1. Increased in HR decrease relaxation
2. Increased in HR increase relaxation
3. Increased in HR decrease contraction
4. Increased in HR increases contraction

Correct answer: 4. Increased in HR increases contraction

Explanation: Bowditch's effect: - Bowditch was a German physiologist. He put forth the term Treppe, which mean staircase. If you increase the frequency of a stimulus to a muscle, each succeeding contraction would be stronger than a preceding one. This effect has been c/a The staircase effect or Bowditch's effect. Increase frequency of stimulation results in increasing strength of contraction. Physiological basis for this effect is increased sarcoplasmic calcium. Strength of contraction of muscle [?] amount of sarcoplasmic calcium.